The following statements are true regarding Clostridium perfringens except
1. It is the commonest cause of gas gangrene
2. It is normally present in human faeces
3. The principal toxin of Clostridium perfringens is the alpha toxin
4. Gas gangrene producing strains of Clostridium Perfringes produce heat resistant spores

Correct answer: 4. Gas gangrene producing strains of Clostridium Perfringes produce heat resistant spores

Explanation: Spores are usually destroyed within five minutes by boiling but those of the food poisoning strains of type A and certain type C strains resist boiling for 1-3 hours. Autoclaving at 121 deg for 15 min is lethal. Spores are resistant to the antiseptics and disinfectants in common use. C.perfringens is the predominant agent causing gas gangrene. Reference: Textbook of Microbiology; Anathanarayan and paniker's; 10th edition; Page no: 258